The inability to perceive the texture & shape an object occurs in lesion of:
1. Lateral spino-thalamic tract
2. Nucleus gracils
3. Spino reticular tract
4. Nucleus cuneatus

Correct answer: 4. Nucleus cuneatus

Explanation: D i.e. Nucleus cuneatus The middle part of cuneate nucleus, the pars rotunds which receives impulses from digits, palm, dorsum of hand & forearm is specific for stereognosisQ.